What is the drug of choice for listeriosis caused by Listeroa monocytogenes?
1. Ampicillin
2. Amoxycillin
3. Vancomycin
4. Amikacin

Correct answer: 1. Ampicillin

Explanation: Ampicillin is considered the drug of choice for treatment of infections caused by susceptible strains of enterococci and Listeria monocytogenes. Cephalosporins and fluoroquinolones are not active against L monocytogenes. Vancomycin is the drug of choice for staphylococcal infections. Amoxicillin is the drug of choice for acute otitis media, sinusitis, and other respiratory tract infections.